With respect to oxygen and carbon dioxide transport
1. The slopes of the oxygen and carbon dioxide content curves are similar
2. Equal amounts of oxygen and carbon dioxide can be carried in 100 mL of blood
3. The presence of carbon dioxide decreases the P50 for O2
4. The presence of oxygen lowers carbon dioxide content in the blood

Correct answer: 4. The presence of oxygen lowers carbon dioxide content in the blood

Explanation: The equilibrium curves are not similar; that for CO2 is steeper and more linear. The blood carries more CO2 than O2. The presence of CO2 will increase the P50. Although red cells carry most of the O2, the plasma carries the majority of the CO2 (mainly as bicarbonate).